Which Single rooted tooth will most commonly have 2 root canals
1. Upper Central incisor
2. Upper 2nd premolar
3. Lower 1st premolar
4. Lower Central incisor

Correct answer: 2. Upper 2nd premolar